In a pregnant woman with heart disease, all of the following are to be done except:
1. IV methergin after delivery
2. Prophylactic antibiotic
3. IV frusemide postpartum
4. Cut short 2nd stage of labor

Correct answer: 1. IV methergin after delivery

Explanation: Ans. is a, i.e. IV methergine after deliveryRef. Dutta Obs. 7/e, p 278As discussed in the chapter overview all the options given in the question are correct except for 'c' i.e. methergine after delivery. Methylergometine is contraindicated in patient of heart desease.